Which is the latest antiviral drug for bronchitis due to RSV-
1. Ribavarin
2. Acyclovir
3. Amantadine
4. Idoxuridine

Correct answer: 1. Ribavarin